Maximum Number of cones are seen in
1. Fovea centralis
2. Blind spot
3. Macula Lutea
4. Optic disc

Correct answer: 1. Fovea centralis

Explanation: (A) Fovea centralis # Human retina contains on average 4.6 million cones and 92 million rods, although there is significant inter-individual variation (Curcio et al 1990).# Retina:> Fovea centralis: It lies in the center of macula lutea. Cones are highly concentrated in the fovea. It is responsible for visual acuity.> Although cones populate the whole retina, their density is highest in the foveola, where approximately 7000 cones reach an average density of 199,000 cones/mm2: this area is entirely rod free.> Going outwards from the foveola, rod numbers rise, reaching a peak density in a horizontal elliptical ring at the eccentricity of the optic disc, before declining once more toward the periphery.> Cone density is 40-45% higher in the nasal compared to the temporal retina, and slightly higher interiorly than superiorly.